Most effective treatment for borderline personality disorders
1. Pharmacotherapy
2. Dialectic Bhaviour therapy
3. Combination of both pharmacotherapy and behavioural therapy
4. None

Correct answer: 2. Dialectic Bhaviour therapy

Explanation: "Dialectical behavioral therapy (DBT), a type of cognitive behavioral therapy (CBT), DBT was introduced by Marsha linehan DBT is a type of CBT with Mindfulness techniques it has more evidence for Borderline personality disorders and self injurious behaviour Reference: Kaplon and sadock, 11 th edition, synopsis of psychiatry, 11 th edition, pg no. 868